A 7 year old boy presented with generalized edema. Urine examination revealed marked albuminuria. Serum biochemical examinations showed hypoalbuminemia with hyperlipidemia. Kidney biopsy was undertaken. On light microscopic examination, the kidney appeared normal. Electron microscopic examination is most likely to reveal:
1. Fusion of foot processes of the glomerular epithelial cells
2. Rarefaction of glomerular basement membrane
3. Deposition of electron dense material in the basement membrane
4. Thin basement membrane

Correct answer: 1. Fusion of foot processes of the glomerular epithelial cells

Explanation: The child is presenting with features likely of Nephrotic syndrome whose most frequent cause in children is minimal change disease or lipoid nephrosis or nil disease Light microscopy there is no abnormality whereas on electron microscopy there is fusion of foot processes of the glomerular epithelial cells with normal glomeruli.